Atrophic dry nasal mucosa, extensive encrustations with woody' hard external nose; is suggestive of -
1. Rhinosporidiosis
2. Rhinoscleroma
3. Atrophic rhinitis
4. Carcinoma of nose

Correct answer: 2. Rhinoscleroma

Explanation: Atrophic dry nasal mucosa with woody hard external surface suggests the diagnosis of Rhinoscleroma.